IVP of polycystic kidney disease shows –
1. Cobra head
2. Dropping lily
3. Flower base appearance
4. Spider leg deformity

Correct answer: 4. Spider leg deformity